Most specific and sensitive for identification is:
1. Anthropometry
2. Dactylography
3. Skull
4. Pelvis

Correct answer: 2. Dactylography

Explanation: B i.e. Dactylography